Corneal endothelium seen by ?
1. Pachymeter
2. Keratometer
3. Tonometer
4. Slit lamp bio-microscope

Correct answer: 4. Slit lamp bio-microscope

Explanation: Ans. is 'd' i.e., Slit lamp bio-microscope Corneal Endothelium: It consists of single layer of polygonal (mainly hexagonal cells). They are visualized by slit lamp bio-microscope and appear like mosaic. The cell density is 3000 cells/ mm2 in young adults and deceases with age. These cells contain active pump mechanism. Note: Confocal microscope can be used to study all layers of retina.